Anti-topoisomerase I is marker of:
1. Systemic sclerosis
2. Classic polyarteritis nodosa
3. Nephrotic syndrome
4. Rheumatoid arthritis

Correct answer: 1. Systemic sclerosis

Explanation: Two ANAs strongly associated with systemic sclerosis are as follows:- One of these,directed against DNA topoisomerase I (anti-Scl 70), is highly specific. Patients who have this antibody are more likely to have pulmonary fibrosis and peripheral vascular disease. The other, an anti-centromere antibody, is found in 20% to 30% of patients, who tend to have the CREST syndrome.